In computed tomography (CT), the attenuation value are measured in Hounsefield units (HU). An attenuation value of '0' (zero) HV corresponds to:
1. Water
2. Very dense bone structure
3. AIR
4. Fat

Correct answer: 1. Water

Explanation: A i.e. Water